'Towne's view' in X-ray is used for visualizing the following structure:
1. Cochlea
2. Arcuate eminence
3. Superior semicircular canal
4. All of the above

Correct answer: 4. All of the above

Explanation: Towne's view is anteroposterior view with 30o tilt from above and in front. It shows both petrous pyramids which can be compared. Structures seen are, Arcuate eminence and superior semicircular canal Mastoid antrum Internal auditory canal Tympanic cavity Cochlea External auditory canal This view is usually taken for acoustic neuroma, and apical petrositis. Ref: Diseases of Ear, Nose and Throat by PL Dhingra, 4th edition, Page 386.